Carpal tunnel syndrome is due to compression of:
1. Median nerve
2. Anterior internsseus nerve
3. Radial nerve
4. Ulnar nerve

Correct answer: 1. Median nerve

Explanation: Ref: Wheel ess' Textbook of Orthopaedics & Apleys System of Orthopaedics and Fractures, 8th ed.Explanation:Carpal Tunnel SyndromeMedian nerve compression syndrome at the wrist;Most common form of nerve entrapmentPathophysiology: Nerve compression may result in:IschemiaFocal demy el i nationDecrease in axonal caliberAxonal lossPresence of pain in the wrist and/or fingers and presence of paresthesias in fingersNight pain may be especially predictiveMRI: Indicated when atypical CTS due to tumor or anomalous muscle is suspectedNon Operative Treatment: Carpal tunnel injection/ Median nerve blockSurgical Treatment: Goals of surgery:Eliminate compression by the tenosynovium;Tenosynovectomy is performed if tissue is bulky, displaces flexor tendonsRestore the gliding capacity of the nerveRemove constriction by external epineurium, & liberate fascicles from internalReleaseSurgical Treatment Options:Open surgical release- Endoscopic carpal tunnel release